Which of the following is false about Clavicle ?
1. Ossify partly in membrane and partly in cartilage
2. Transmits part of the weight of upper limb to the axial skeleton
3. It is subcutaneous throughout its length
4. Fractures typically occur at the junction of medial 1/3 rd and lateral 2/3rd

Correct answer: 4. Fractures typically occur at the junction of medial 1/3 rd and lateral 2/3rd

Explanation: Fractures of the clavicle typically occur at the junction of medial 3/5th and lateral 2/5th. Middle third of the clavicle is the most common site for a fracture, especially the junction of medial 3/5th and lateral 2/5th. It is the junction where the 2 primary ossification centers meet. It is also where the transition from antecurve to retrocurve begins and is prone to be at high risk for fractures. Ref : Gray's Anatomy - The Anatomical Basics of Clinical Practice 41e pg 801.e1